Pancytopenia may occur in the following except -
1. Megaloblastic anaemia
2. Severe iron-deficiency anaemia
3. Hypoplastic anaemia
4. Paroxysmal nocturnal haemoglobinuria

Correct answer: 2. Severe iron-deficiency anaemia